Common oral change seen with nutritional anemia is:
1. Enlarged tongue
2. Atrophic glossitis
3. Generalized osteolysis
4. Focal marrow expansion

Correct answer: 2. Atrophic glossitis